A 7 year old boy presented with generalized edema. Urine examination revealed marked albuminuria. Serum biochemical examinations showed hypoalbuminaemia with hyperlipidemia. Kidney biopsy was undertaken. On light microscopic examination, the kidney appeared normal. Electron microscopic examination is most likely to reveal-
1. Fusion of foot processes of yhe glomerular epithelial cells
2. Rarefaction of glomerular basement membrane
3. Deposition of electron dense material in the basement membrane
4. Thin basement membrane

Correct answer: 1. Fusion of foot processes of yhe glomerular epithelial cells

Explanation: This is a case of minimal change disease(MCD) On biopsy-no lesion is seen by light microscopy, negative for deposits by immunofluorescent microscopy -so it is also called nil lesion. On electron microscopy -effacement of foot processes supporting Glomerular cells(podocytes) with weakening of slit pore membranes is seen. Ref:Harrison 20 th edition pg no. 2142